Investigation to differentiate between a scar tissue and residual/recurrence of a breast tumor is
1. USG
2. Mammography
3. MRI
4. All of the above

Correct answer: 3. MRI

Explanation: Ix for differentiating scar Vs residual / recurrence of Ca Breast- CE-MRI Breast scar Post-surgical breast scar is a benign complication that usually occurs following surgical intervention to breast tissue. It can, however, be a strong and potentially very confusing mimicker of breast malignancy. Residual breast tumor It is a remaining portion of the original primary breast cancer after incomplete resection or following radiotherapy or chemotherapy. Residual Breast Tumor shows contrast enhancement but scars donot enhance on a Contrast Enhanced Mri